Surgery for elective hemicolectomy for carcinoma colon is described as -
1. Clean
2. Clean contaminated
3. Dirty
4. Contaminated

Correct answer: 2. Clean contaminated

Explanation: Ans. is 'b' i.e., Clean contaminated